A patient with conjunctival infection, which lead to corneal perforation, was positive for Gram-negative coccoid appearance on Gram stain. Further investigation showed small translucent colourless organism which is oxidase positive. What could be the most probable causative organism-
1. Moraxella catarrhalis
2. Neisseria gonorrhea
3. Psedomonas aeruginosa
4. Acinetobacter actinatus

Correct answer: 2. Neisseria gonorrhea

Explanation: Ans. is 'b' i.e., Neisseria gonorrhea